Amiloride can cause hyperkalemia due to its action on :
1. Electrogenic K+ channels
2. Electrogenic Na+ channels
3. Non electrogenic Na+-C1- symporter
4. H+-K+ ATPase

Correct answer: 2. Electrogenic Na+ channels

Explanation: Amiloride and triamterene are K+ sparing diuretics that act by inhibiting epithelial Na+ channels.
In the distal tubules and collecting ducts, three separate channels are present (one for Na+, K+ and H+ each). Aldosterone acts on DCT and CD to cause reabsorption of Na+. This generates a lumen negative potential difference across the membrane of this part of the nephron. To maintain the electric neutrality, K+ and H+ are secreted in the lumen.